In Neibulowitz surgery what is done?
1. Skin bridge
2. Lymph node with vein anastomosis
3. Ileal mucosal patch
4. All of the above

Correct answer: 2. Lymph node with vein anastomosis

Explanation: Neibulowitz is a reconstructive surgical procedure to treat lymphedema refractory to medical management . Indicated in patients with proximal (either primary or secondary) obstruction of the extremity, lymphatic obstruction, dilated lymphatics distal to obstruction. It is a bypass procedure anastomosing lymph nodes to veins .